All of the following are killed vaccines, EXCEPT:
1. Salk
2. Hepatitis B vaccine
3. 17-D Vaccine
4. HDCV

Correct answer: 3. 17-D Vaccine

Explanation: 17-D vaccine is a live attenuated vaccine used to control yellow fever. Killed vaccines are used to control typhoid, cholera, pertusis, plague, rabies, salk (polio), influenza, hepatitis A, B, japanese encephaltis and KFD. Ref: Park's Textbook Of Preventive and Social Medicine 20th edition page 98.